All of the following statements about Emphysema are true. Except:
1. Breathlessness is the charachteristic presenting symptom
2. Diffusion rate of carbon monoxide is reduced
3. Restrictive pattern on pulmonary function test is seen
4. Long term bronchadilater therapy does not improve lung function

Correct answer: 3. Restrictive pattern on pulmonary function test is seen

Explanation: Answer is C (Restrictive pattern on pulmonary function test is seen): The hallmark of Emphysema is air flow obstruction and pulmonary function tests show an obstructive pattern Breathlessness (Dyspnea) is a charachteristic presenting symptom The three most common symptoms in COPD (emphysema) are cough, sputum production and exertional dyspnea Obstructive (and not Restrictive) pattern is seen on PFT The hallmark of Emphysema (COPD) is airflow obstruction. PFT shows airflow obstruction with a reduction in FEV i/FVC (< 0.7) Diffusion of carbon monoxide is Reduced (4DLCO) Three main categories of disease with Reduced DLCO are: Interstial Lung disease Emphysema Pulmonary vascular Disease Long term bronchodilater therapy does not improve lung; function `Bronchodilators do not alter the inexorable decline in lung function that is a hallmark of the disease' -CMDT 2008/219 The only drug therapy that is documented to improve the natural history (lung function) of COPD patients is supplemental oxygen in those patients with resting hypoxemia -CMDT 09/230 The only three interventions that influence the natural history of COPD patients Smoking cessation Oxygen therapy in chronically hypoxemic patients Lung volume reduction surgery in selected patients with emphysema